The amino acid from which niacin is synthesized is:
1. Tyrosine
2. Threonine
3. Tryptophan
4. Histidine

Correct answer: 3. Tryptophan